Griseofulvin is not useful in one of the following:
1. T.capitis
2. T.cruris
3. T.versicolor
4. T.pedis

Correct answer: 3. T.versicolor

Explanation: cRef: KDT, 4th ed, p. 774